Most specific histological lesion in diabetic nephropathy is -
1. Glomerular crescents
2. Immune complex deposition
3. Occlusion of glomeruli with fibrin caps
4. Nodular glomerulosclerosis

Correct answer: 4. Nodular glomerulosclerosis

Explanation: Repeated Question